All the following are common nosocomial infection except:
1. Staph. aureus
2. P. aeroginosa
3. Enterobacteriaceae
4. Mycobacterium

Correct answer: 4. Mycobacterium

Explanation: Ans. (d) Mycobacterium Ref. Harrison 17/e, p 835-838, 18/e, p 1114-1116, 19/e, p 913 Most important group of hospital pathogens are: i. Enteric gram negative bacilli: E. coli Klebsiella Enterobacter Proteus Serratia S. aureus Pseudomonas aeruginosa and other pseudomonas Tetanus spores Yeast (Candida albicans), moulds (Aspergillus mucor Nosocomial infection Most common causative organism Urinary tract infection(MC Nosocomial infection) E. coli; Candida Early onset pneumonia (within 4 days) Strept pneumoniae Late onset pneumonia Strept pneumoniae Surgical wound infections S.aureus, coagulase negative staphylococcus Infections related to vascular acess Coagulase negative Staph, S. aureus Protozoa (E. histolytica, Plasmodia, P. carinii, T. gondii) Remember: Candida is now the MC pathogen in nosocomial UTI in ICU patients. . Harrison 19/e, p 914 Examples of some emerging and potential, epidemic problems in hospitals are: Chickenpox TB, Group A streptococci, Aspergillus, Legionella